Step in HMP pathway requiring TPP
1. G6PD
2. 6 Phosphogluconate dehydrogenase
3. Transketolase
4. Transaldolase

Correct answer: 3. Transketolase

Explanation: Transketolase requires thiamine pyrophosphate (TPP).